Rectus adominis is inserted into -
1. Xiphoid process
2. Median raphae
3. Linea alba
4. 1-4 ribs

Correct answer: 1. Xiphoid process

Explanation: Rectus abdominis attachment
-        Origin

Lateral head- Pubic crest
Medial head- Anterior pubic ligament

-        Insertion

Xiphoid process
Costal cartilages- 5,6,7